HLA B 27 is not seen in which of the following
1. Ankylosing spondylitis
2. Reiter's syndrome
3. Rheumatoid arthritis
4. Psoriatic arthritis

Correct answer: 3. Rheumatoid arthritis

Explanation: Ref Robbins 9/e p215 HLA and diseases, the association of B27 with ankylosing spondylitis (AS) is the strongest. The B27 antigen is present in over 90% of patients with AS as com- pared with the B27 prevalence of 8% in Caucasians in general. A strong but slightly minor association has also been found between B27 and Reiter's syndrome (RS), reactive arthritis (ReA), and acute anterior uveitis (AAU). It is negative in rheumatoid arthritis